Steeple sign is seen in -
1. Acute epiglottis
2. Laryngotracheobronchitis (croup)
3. In both cases
4. None of above

Correct answer: 2. Laryngotracheobronchitis (croup)

Explanation: Ans. is 'b' i.e., Laryngotracheobronchitis (croup) Croupo Me cause of acute upper airway obstruction,o Mild upper RTI for 1-3 days followed by upper airway obstruction,o Barking cough, hoarsness, Inspiratory stridor,o X-ray shows subglottic narrowing or steeple sign.Acute epiglottitiso Acute potential fatal condition,o Redpiratry progressine respiratory obstruction,o Cherry red swollen epiglottis,o X-ray show's thumb sign.The steeple sign as seen on an anteroposterior neck X-ray of a child with croupNeck X-ray showing thumb sign.